Donovan bodies are seen in -
1. Leishmaniadonovani
2. Chlamydia trachomatis
3. Klebsiella
4. Calymmatobacteriumgranulomatis

Correct answer: 4. Calymmatobacteriumgranulomatis

Explanation: Ans. is 'd' i.e., Calymmatobacteriumgranulomatis Granuloma inguinale or Granuloma venerum or Donovanosiso Caused by Calymmatobecterium granulomatis, a gram negative intracellular bacteria,o IP is 1- 4 weeks.o Begins as one or more subcutaneous nodules that erode through skin to produce ulcer. Ulcer has following characterstics.PainlessBleeding withred granulation tissueInduratedo Subcutaneous granulomas of inguinal region in Donovenosis look like enlarged lymph nodes but these are not enlarged lymph nodes. Therefore, these are known as Pseudobubos. Sites of the lesions are genitalia (90%), inguinal (10%), and anal regions.o Complications are pseudoelephentiasis, phimosis, paraphymosis.Diagnosiso Preferred method is demonstration of typical intracellular Donavan Bodies within large mononuclear cells v isualised in smear prepared from lesion or biopsy specimen. It shows safety pin appearance.Treatmento Azithromycin is the DOC. Alternatives are doxycycline (2nd choice) and chloremphentcol.o Streptomycin, once used, is not used now.